Metal required for polymerization of insulin is:
1. Copper
2. Chromium
3. Cobalt
4. Zinc

Correct answer: 4. Zinc

Explanation: Ans. D. ZincInsulin is produced by b-cells of pancreas and consists of 51 amino acids. Chain A has 21 amino acids and chain B has 30 amino acids. Both are held together by two inter chain disulfide bridges. In the b-cells, insulin (also called proinsulin) combines with zinc to form complexes. It is stored in this form in the granules of the cytosol.